Under the NMEP. the minimum annual blood examination rate should be -
1. 10%
2. 12%
3. 14%
4. 18%

Correct answer: 1. 10%

Explanation: Ans. is 'a' i.e., 10% Annual blood examination rate 'ABER' was a parameter used for the measurement of malaria in the eradication era.